Which of the following is the largest skull diameter?
1. Occipitobregmatic
2. Sub mento regmatic
3. Mento vertical
4. Occipito frontal

Correct answer: 3. Mento vertical

Explanation: Ans: c (Mentovertical) Ref: Dutta, 6th ed, p. 85Mento vertical extends from mid point of chin to the highest point on sagittal suture.It measures 14cm.Attitudeofhead will be partial extension with brow presentation. DiametersAttitude of the headPresentation1Suboccipito - bregmatic - 9.5 cm (3 3/4 ")Complete flexionVertex2Suboccipito - frontal - 10 cm (4")Incomplete flexionVertex3Occipito - frontal - 11.5 cm (4 1/2 ")Marked deflexionVertex4Mento-vertical - 14 cm (5 1/2 ")Partial extensionBrow5Submento-vertical- 11.5 cm (4 1/2 ")Incomplete extensionFace6Submento-bregmatic-9.5 cm (3 3/4 ")Complete extensionFace